Recurrent dislocation is least common in -
1. Shoulder
2. Knee
3. Patella
4. None

Correct answer: 2. Knee